Death of Poliomyelitis is due to -
1. Infection
2. Neurogenic shock
3. Cardiac failur
4. Respiratory paralysis

Correct answer: 4. Respiratory paralysis

Explanation: Mortality rate in 5-10% & is due to respiratory failure
REF:MICROBIOLOGY ANANTHA NARAYANAN NINTH EDITION PAGE.487